Subacute bacterial endocarditis is caused by
1. Streptococcus viridans
2. Haemolytic streptococci
3. Staphylococcus aureus
4. Nisseria

Correct answer: 1. Streptococcus viridans